Reversal lines are a coating found in bone is produced by
1. Osteoblasts
2. Fibroblasts
3. Osteoclasts
4. Cementoblasts

Correct answer: 1. Osteoblasts